Contre-coup injuries are seen in -
1. Brain
2. Diazepam
3. Flumazenil
4. Ethyl alcohol

Correct answer: 1. Brain

Explanation: Coup and contre coup injuries are seen in injury to skull and brain.